In the International death certificate one of the following is not true -
1. Part I of the certificate deals with the immediate cause only
2. Part I of the certificate deals with the immediate cause and also the underlying cause
3. Part II records significantly associated diseases
4. The certificate has been recommended by the WHO for international news

Correct answer: 1. Part I of the certificate deals with the immediate cause only

Explanation: International death certificate 

The basis of mortality data is death certificate.
For ensuring national and international comparability, it is necessary to have a uniform and standardized system of recording And classifying deaths.
For this purpose WHO has recommended international death certificate.
Consist of four lines:


Line Ia: Disease or condition directly leading to death
Line Ib: Antecedent/underlying cause
Line lc: Main antecedent/underlying cause
Line II: Other significant conditions contributing to death but not related to disease/ condition causing it


Example of a death certificate:


Line Ia: Renal failure
Line Ib: Diabetic nephropathy
Line Ic: Diabetes mellitus
Line II: Hypertension


Concept of underlying cause, Line Ic is the most important line in death certificate, thus also known as `Essence of Death Certificate'.